Nephrocalcinosis is a feature of A/E:
1. Primary hyperparathyroidism
2. Medullary sponge kidney
3. Vitamin D intoxication
4. Pseudo hypoparathyroidism

Correct answer: 4. Pseudo hypoparathyroidism

Explanation: Answer is D (Pseudohypoparathyroidism): Primary hyperparathyroidism. Medullary Sponge Kidney and Vitamin D excess are established causes. for nephrocalcinosis.